What is the APGAR core for a baby with HR 120/ min, RR-40/min, strong respiratory efforts, peripheral cyanosis, grimace while suctioning and having slightly flexed posture but no active movements of limbs?
1. 6
2. 7
3. 8
4. 9

Correct answer: 2. 7

Explanation: b. 7(Ref: Nelson's 20/e p 798> Ghai 8/e p 166-168)Appearance: peripheral cyanosis, so score of 1, Pulse rate 120/minute - score 2, Grimaces - 1, Activity - 1 (flexed posture, but no movements), Respiratory effort - 2 (as strong respiratory efforts present); So, the APGAR score for this baby is: 1+2+1+1+2=7